A 45-year-old man presents with exertional dyspnea and pitting pedal edema. His neck veins are dilated. A diagnosis of superior vena cava (SVC) syndrome is made. What will you do next?
1. Do total blood count and peripheral smear
2. Do a CT chest
3. Start cyclophosphamide
4. Start radiotherapy

Correct answer: 2. Do a CT chest

Explanation: ANS. BThis shows an approach to a case of SVC syndrome which clearly says that first step is CT chest with contrast. This helps us to arrive at a cause for SVC syndrome and treat accordingly.Various causes of SVC syndrome are: